Which of the following methods PCR is called Quantitative PCR
1. Nested PCR
2. RT PCR
3. Real time PCR
4. Hot Start PCR

Correct answer: 3. Real time PCR

Explanation: Real time PCR is called Quantitative PCR becasue amplification of the desired sequence can be quantified.